When asked about his residence, patient says - "I was born in Kerala, at the age of 26 I got job. 2 years later i got married. now i am living in Bangalore". This is an example of :
1. Clang association
2. Neologism
3. Circumstantiality
4. Thought broadcast

Correct answer: 3. Circumstantiality

Explanation: Because patient adds unnecessary details before reaching the final answer - which is a formal thought disorder called circumstantiality.